Poor man's iron source is?
1. Almond
2. Grapes
3. Soya
4. Jaggery

Correct answer: 4. Jaggery

Explanation: Ans. is 'd' i.e., Jaggery * There are two major forms of iron :-1) Haem-iron# It is better absorbed but is less important source of iron in Indian diet. It is mainly found in foods of animal origin, e.g. liver, meat, poultry and fish.* Red meat is the richest source of iron.2) Non-haem iron# It is poorly absorbed but is the important source of iron in Indian diet. It is mainly found in foods of vegetable origin, e.g. cereales, green leafy vetetables, legumes, nuts, oilseeds, juggery, and dried fruits.# Among dry fruits, cashew nut has maximum iron (9%) followed by almonds (7%), and pistachos (7%).* Iron of milk is low in all mammalian species.* Jaggery is considered as poor man's iron source. It contains good amount of iron along with vitamin-A.